Prognosis in Schizophrenia is less favourable if:
1. Normal brain structure
2. Acute onset
3. Negative schizophrenia
4. All of the above

Correct answer: 3. Negative schizophrenia

Explanation: Ans. C i.e. Negative schizophrenia